All of the following protect against endometriosis except:
1. Pregnancy
2. Nulliparity
3. Exercise
4. Smoking

Correct answer: 2. Nulliparity

Explanation: Ans. is b, i.e. NulliparityEndometriosis is a hyper estrogenic condition and is thus more common in Nulliparous females.Protective factors are multiparity, pregnancy, smoking and exercise.